At which level of heat stress index it is not possible to work comfortably causing threat to health:
1. 20-40
2. 40-60
3. 60-80
4. 80-100

Correct answer: 2. 40-60

Explanation: HEAT STRESS INDEX(HSI): HSI% Consequence of 8 hour exposure 0 No thermal strain 10-30 Mild-Moderate heat stress, Minimal impairement in work 40-60 Severe heat stress, Threat to health if not fit 70-90 Very severe heat stress, only few can sustain it 100 Maximum heat stress, only young fit acclimatized can sustain it >100 Varying degrees of stress due to hyperthermia Ref: Park 25th edition Pgno: 784